Spleen develops from -
1. Ventral mesogastrium
2. Dorsal mesogastrium
3. Hindgut mesentery
4. Midgut mesentery

Correct answer: 2. Dorsal mesogastrium

Explanation: Ans. is 'b' i.e., Dorsal mesogastriumo Spleen develops in cephalic part of dorsal mesogastrium from its left layer during 6" week of intrauterine life into a number of nodule which soon fuse to form a lobulated spleen,o Notching of superior border is an evidence of its multiple origin,o The nodules which fail to fuse form accessory/supernumerary -spleen or spleniculi.o These may be found at rHilum of spleen (most common site).Tailof pancrease.Derivatives of dorsal mesogastrium Greater omentum, gastrophrenic ligament, gastrosplenic ligament, linorenalligament.Broad ligament of uterus (in males) and spermatic cord (in female); both left side.